All of the following HLA-phenotypes are associated with uveitis except:
1. HLA-B27
2. HLA-B5
3. HLA-BW54
4. HLA-10

Correct answer: 4. HLA-10

Explanation: Ans. HLA-10